Disease caused by cotton is:
1. Bysinosis
2. Bagassosis
3. Farmer's lung
4. Asthma

Correct answer: 1. Bysinosis

Explanation: Ans. A: BysinosisByssinosis/brown lung disease/Monday fever is an occupational lung disease caused by exposure to cotton dust in inadequately ventilated working environments.Byssinosis commonly occurs in workers who are employed in yarn and fabric manufacture industries. The term "brown lung" is a misnomer, as the lungs of affected individuals are not brown